Good prognosis in schizophrenia is indicated by :
1. Soft neurological Signs
2. Affective symptoms
3. Emotional blun ting
4. Insidious onset

Correct answer: 2. Affective symptoms

Explanation: B i.e. Affective symtomsFlat or blunt affect is a poor prognostic sign where as affective symptoms as depression are good prognostic signs. Q